Antemortem Abrasions can be confused with?
1. Eczema
2. Ant bite marks
3. Chemical burn
4. Joule burn

Correct answer: 2. Ant bite marks

Explanation: Postmortem ant bites on dead bodies may produce marks which simulate antemortem abrasions. Ref: Forensic Pathology By J.M. Di Maio, 2nd Edition, Page 196; Modi's Textbook of Medical Jurisprudence and Toxicology; Principles of Forensic Medicine and Toxicology By Rajesh Bardale, Page 174; Forensic Medicine and Toxicology By R.N. Karmakar, Page, 2nd Edition, Page 334